In supracondylar fracture the fragment is often displaced:
1. Laterally
2. Medially
3. Anteriorly
4. Posteriorly

Correct answer: 4. Posteriorly